In renal transplant, transplanted kidney is placed in-
1. Iliac fossa
2. Subcostal area
3. Loin
4. None of the above

Correct answer: 1. Iliac fossa

Explanation: Ans. is 'a' i.e., Iliac fossa * The transplant kidney is placed in the iliac fossa in the retroperitoneal position leaving the native kidneys in situ.* Using a retroperitoneal approach the donor renal vein is anastomosed end-to-side to the external iliac vein.* The donor renal artery on a Carrel patch of donor aorta is anastomosed end-to-side to the external iliac artery. If the donor renal artery lacks an aortic patch, as in the case of a living donor transplant, it may be preferable to anastomose the donor artery end-to-end to the recipient internal iliac artery.